True about brown sequard syndrome
1. Ipsilateral loss of joint sensation
2. Contralateral loss of joint sensation
3. Ipsilateral loss of pain & temperature
4. Segmental sign are bilateral

Correct answer: 1. Ipsilateral loss of joint sensation

Explanation: In Brown sequard syndrome, a hemisection of the spinal cord results in 
-        Sensory

 Loss of Ipsilateral dorsal column sensations- Proprioception, vibration, fine touch, Kinesthesia. 
 Loss of contralateral lateral column sensations- Pain, temperature

-        Motor

Loss of ipsilateral corticospinal action- results in UMNL- Weakness, spasticity, Extensor plantar response.